The most important cause of Nonunion of fracture of - humeral shaft is
1. Comminuted fracture
2. Compound (Open) fracture
3. Overriding of fracture ends
4. Distraction at fracture site

Correct answer: 4. Distraction at fracture site

Explanation: D i.e. Distraction at fracture site Fracture shaft humerus is the easiest of major long bone fractures to be treated by conservative methods. And the most common cause of delayed union or nonunion is distraction at fracture siteQ due to gravity and weight of plaster.